USG examination of a primigravida shows twin pregnancy. She may develop the following complication in later pregnancy:
1. Hydramnios
2. Pregnancy induced hypertension
3. Malpresentation
4. All of the above

Correct answer: 4. All of the above

Explanation: Frequent complications associated with multiple pregnancy: Polyhydramnios Pregnancy-induced hypertension Premature rupture of membranes Abnormal fetal presentations Prolapsed umbilical cord Ref: Thilo E.H., Rosenberg A.A. (2012). Chapter 2. The Newborn Infant. In W.W. Hay, Jr., M.J. Levin, R.R. Deterding, J.J. Ross, J.M. Sondheimer (Eds), CURRENT Diagnosis & Treatment: Pediatrics, 21e.